Not true about fosphenytoin is:
1. Used for GTCS
2. Prodrug of phenytoin
3. Lipid soluble
4. Highly protein bound

Correct answer: 3. Lipid soluble

Explanation: Fosphenytoin is water soluble prodrug of phenytoin development to overcome the difficulties in I.v. administration of phenytoin. REF: KD Tripathi 8th ed.